In Barter's syndrome, what is seen-
1. Metabolic acidosis
2. Hypokalemia
3. Hyperkalemia
4. Decrease in urinary calcium

Correct answer: 2. Hypokalemia

Explanation: Answer is B (Hypokalemia): Banter's Syndrome is characterized by Chloride resistant Metabolic Alkalosis and Hypokalemia without Hypertension. Urinary Calcium Excretion is typically increased . Bartter's Syndrome (Resembles Loop Diuretics) Inheritance Autosomal recessive disorder. Pathophysiology Genetic defect involving the transpoer's in the thick ascending limb of the glomerulus. Defects in Na-K-2Cl cotransporter, K or Cl channels result in lack of concentrating ability Resembles Loop Diuretics Clinical presentation: History of polyuria and polydipsia Hypokalemic metabolic alkalosis without Hypertension Presents early in life, often with sensorineural deafness (has to do with potassium-secreting dark cells of inner ear), triangular, .*ies with drooping mouth and large eyes and pinnae, and renal failure. Laboratory data Chloride resistant metabolic alkalosis and Hypokalemia Normal serum magnesium. Increased Urinary Calcium Excretion (Hypercalciuria so at risk fir kidney stones)